Eminectomy is done for treatment of:
1. TMJ ankylosis
2. TMJ dislocation
3. Coronoid fracture
4. All of the above

Correct answer: 2. TMJ dislocation